A pateint of Schizophrenia treated for 5 years developed perioral movem-ents. Likely diagnosis is:
1. Tardive dyskinesia
2. Muscular dystonia
3. Akathasia
4. Malignant neurolept syndrome

Correct answer: 1. Tardive dyskinesia

Explanation: A i.e. Tardive dyskinesia